Cyclosporin-A acts on:
1. CD4 cells and lymphocytes
2. CD8 cells and lymphocytes
3. CD16 cells and lymphocytes
4. B-lymphocytes

Correct answer: 1. CD4 cells and lymphocytes

Explanation: Cyclosporine binds to intracellular cyclophilin, and this complex interacts with calcineurin. Calcineurin is crucial for normal lymphokine gene activation, and its inhibition by cyclosporine consequently interferes with the production of interleukins-2, -3, and -4 (IL-2, IL-3, and IL-4), tumor necrosis factor-alpha (TNF-), and other important mediators of inflammation. In turn, specific and potent inhibition of T-cell activation (especially CD4 cells) is achieved. Adverse effects: The most frequently encountered problem with cyclosporine is nephrotoxicity, and in many patients cyclosporine causes a rise in serum creatinine level and a reduction of glomerular filtration rate (GFR). Ref: Scales D.C., Granton J.T. (2005). Chapter 90. The Transplant Patient. In J.B. Hall, G.A. Schmidt, L.D. Wood (Eds), Principles of Critical Care, 3e.